Arsenic is assocaited with increased risk of   a) Mesothelioma   b) Melanoma     c) Basal cell carcinoma  d) Squamous cell carcinoma
1. ad
2. bd
3. cd
4. ab

Correct answer: 3. cd